Clinical finding in AV fistula is one of the following:
1. Pericarditis
2. Sinus tachycardia
3. Cardiac arrhythmia
4. Hypothermia

Correct answer: 2. Sinus tachycardia

Explanation: Answer is B (Sinus tachycardia) AV fistulas cause short circuiting of blood from an artery to a vein thereby increasing the pulse rate (sinus tachycardia) & cardiac output. Sinus tachycardia : It is a regular rhythm with SA node discharging in excess of 100 times/ minute (usually 100-160/min) Common causes include: Physiological high igh altitude Exercise Excitement Pregnancy Pain Pathological Thyrotoxicosis Anxiety states Fever and infections Cardiac failure Pulmonary embolism AV fistulae.